Type of Growth Charts used by Anganwadi workers (ICDS) for growth monitoring
1. NCHS
2. IAP
3. MRGS
4. CDC

Correct answer: 3. MRGS

Explanation: ICDS GROWTH CHART: In NRHM and ICDS, Government of India has adopted WHO child Growth standards 2006 (also known as MGRS 'Multicenter Growth Reference study' Standards) Normal zone Below -2SD: Malnutrition Below -3SD: Severe Malnutrition Ref: Park 25th edition PGno: 580-581